Material of choice for single-step border moulding is
1. Polyether
2. Greenstick compound.
3. ZOE
4. None

Correct answer: 1. Polyether

Explanation: Single step or simultaneous border moulding:
It is a process, in which the entire periphery of the tray is refined in a single step. Polyether impression material is the material of choice because it fulfills all the requisites.